During diastole, the arterial pressure is maintained by
1. Elastic recoil of aorta
2. Musculature of arterial
3. Constriction of capillaries
4. Contraction of left ventricle

Correct answer: 1. Elastic recoil of aorta

Explanation: Ans. (a) Elastic recoil of aortaRef: Ganong, 25th ed/p.576Because of its elastic recoil nature, blood flow is continuous and the diastolic pressure stays at 80mmHg. This elastic recoil effect is called "Windkessel effect"